All are true about colonic lipoma except:
1. Squeeze sign on radiology
2. Most common site is Cecum
3. Most commonly subserosal
4. Most commonly submucosal

Correct answer: 3. Most commonly subserosal

Explanation: Short Chain Fatty Acids (SCFA) Short chain fatty acids are produced in the colon and absorbed from it SCFAs: Acetate(60%), Propionate (25%), Butyrate (15%) Formed by action of colonic bacteria on complex carbohydrates, resistant starches, and other component of dietary fibres. Ref: Manigot 11th edition Pgno: 838